Early Bell stage differ from advanced Bell stage:
1. Morphodifferentiation occurs in Early Bell stage and Histodifferentiationoccurs in advanced Bell stage.
2. Morphodifferentiation occurs in advanced Bell stage and Histodifferentiation occurs in Early Bell stage.
3. Different in Apposition.
4. None.

Correct answer: 2. Morphodifferentiation occurs in advanced Bell stage and Histodifferentiation occurs in Early Bell stage.

Explanation: These are developmental stages of tooth.
Histodifferentiation occurs in early bell stage white morphodifferentiation occurs in advanced bell stage.